Which of the following is true of paralleling cone
technique
1. The radioopacity of the zygoma is superimposed on the roots of third molars
2. Easy to place with the film holder
3. Less of gag reflex
4. No need to sterilize the film holder

Correct answer: 2. Easy to place with the film holder